Most sensitive investigation of early bone infection
1. X-ray
2. CT sCan
3. Bone scan
4. USG

Correct answer: 3. Bone scan

Explanation: Bone scan is very sensitive and is positive for changes appear on x-ray Refer Maheshwari 6th/e p 168